Type-II error is
1. Rejecting true null hypothesis
2. Rejecting false null hypothesis
3. Accepting true null hypothesis
4. Accepting false null hypothesis

Correct answer: 4. Accepting false null hypothesis

Explanation: In statistical hypothesis testing a type I error is the rejection of a true null hypothesis (also known as a "false positive" finding or conclusion), while a type II error is the non-rejection of a false null hypothesis (also known as a "false negative" finding or conclusion). Much of statistical theory revolves around the minimization of one or both of these errors, though the complete elimination of either is a statistical impossibility for non-deterministic algorithms A type I error (or error of the first kind) is the rejection of a true null hypothesis. Usually a type I error leads to the conclusion that a supposed effect or relationship exists when in fact it does not. Examples of type I errors include a test that shows a patient to have a disease when in fact the patient does not have the disease, a fire alarm going on indicating a fire when in fact there is no fire, or an experiment indicating that a medical treatment should cure a disease when in fact it does not. A type II error (or error of the second kind) is the failure to reject a false null hypothesis. Some examples of type II errors are a blood test failing to detect the disease it was designed to detect, in a patient who really has the disease; a fire breaking out and the fire alarm does not ring; or a clinical trial of a medical treatment failing to show that the treatment works when really it does Ref : https://en.m.wikipedia.org/wiki/Type_I_and_type_II_errors